Windkassal effect is seen in:
1. Large elastic vessel
2. Capillaries
3. Capacitance vessel
4. Venules

Correct answer: 1. Large elastic vessel

Explanation: Ans. (a) Large elastic vessel